Ethical principles that requires health professionals to fully inform their patients and protect their confidentiality is the principle of:
1. Justice
2. Autonomy
3. Veracity
4. Beneficence

Correct answer: 2. Autonomy